Largest bursa of the body is
1. Ilio-psoas bursa
2. Suprapatellar bursa
3. Subcoracoid bursa
4. Olecranon bursa

Correct answer: 1. Ilio-psoas bursa

Explanation: The iliopsaos bursa is the largest bursa of the human body and is bilaterally present in 98% of adults.